The only thrombolytic agent approved for the treatment of acute ischemic stroke is:
1. Tissue Plasminogen activator
2. Streptokinase
3. Urokinase
4. Pro-urokinase

Correct answer: 1. Tissue Plasminogen activator

Explanation: Answer is A (Tissue plasmiogen Activator): Recombinant Tissue plasminogen Activator (RtPA) is the only thrombolytic agent that is approved for the treatment of acute ischaemic stroke The use of all other thrombolytics except Recombinant Tissue plasminogen activator has been stopped because of associated high rates of intracranial hemorrhage.